The mode of inheritance of Duchenne muscular dystrophy is
1. Autosomal dominant
2. Autosomal recessive
3. X-linked dominant
4. X-linked recessive

Correct answer: 4. X-linked recessive

Explanation: Duchene muscular dystrophy is a X linked recessive disorder. Gait disturbances is commonly seen and calf muscle pseudo hypertrophy is also seen